Gout is a metabolic disorder of -
1. Purine
2. Pyramidine
3. Glycogen
4. Fatty acid oxidation

Correct answer: 1. Purine

Explanation: Ans. is 'a' i.e., Purine Disorder of purine metabolismDisorder of pyramidine metabolismo Gouto Orotic aciduriao Lesch-Nyhan syndromeo b- hydroxybutyric aciduriao Adenosine deaminase deficiencyo- Purine nucleoside phosphorylase deficiencyo Uraciiuria-thyminuria